"Dentitia Tarda".
1. Resorption of the deciduous dentition
2. Premature loss of the deciduous dentition
3. Retarded eruption of deciduous dentition
4. Early eruption of deciduous dentition

Correct answer: 3. Retarded eruption of deciduous dentition